During the process of chlorination of water, the disinfecting action of chlorine is due to the formation of –
1. Hydrochloric acid only
2. Hypochlorous acid only
3. Hydrochloric acid and hypochlorite ions
4. Hypochlorous acid and hypochlorite ions

Correct answer: 4. Hypochlorous acid and hypochlorite ions